Antenatal maternal HIV diagnosis is fort importance in -
1. To prevent vertical transmission
2. To terminat
3. To discharge
4. To isolate the patient

Correct answer: 1. To prevent vertical transmission

Explanation: transmission of virus to fetus is occur in pregnancy REF:MICROBIOLOGY ANANTHA NARAYANAN NINTH EDITION PAGE.577&583